Which of the following does NOT give rise to arteries supplying the spinal cord?
1. Ascending cervical artery
2. Deep cervical artery
3. Intercostal arteries
4. Thoracoacromial artery

Correct answer: 4. Thoracoacromial artery

Explanation: The Spinal cord is supplied byAnterior Spinal arteryTwo posterior spinal arteriesSegmental arteriesThe segmental arteries are spinal branches of deep cervical, ascending cervical, posterior intercostal, lumbar and lateral sacral arteries.These segmental arteries reach the Spinal cord as radicular arteries and form 5 longitudinal trunks which communicate around the cord forming a pial plexus- ARTERIAE CORONAE( Ref: vishram Singh textbook of clinical neuroanatomy second edition pg- 69)